Which of the following is associated with acute hemorrhagic conjuctivitis -
1. Rhabdovirus
2. Enterovirus
3. Calcivirus
4. Echovirus

Correct answer: 2. Enterovirus

Explanation: Ans. is 'b' i.e., Enterovirus